Genetic abnormality in case of late adenoma to carcinoma in Ca colon:
1. APC
2. K-ras
3. DCC
4. p53

Correct answer: 4. p53

Explanation: The most frequently mutated tumor suppressor gene in human neoplasia is p53 (TP53), located on chromosomes 17p. Mutations in p53 are present in 75% of colorectal cancers and occurs, rather late in the adenoma-carcinoma sequence. FEARON - VOGELSTEIN ADENOMA CARCINOMA MULTISTEP MODEL